All of the following are true about Basal cell carcinoma except
1. It is the most common skin cancer in the general population
2. Caused by UVA radiation
3. Metastasis is extremely rare
4. Topical Imiquimod is used to treat superficial BCC

Correct answer: 2. Caused by UVA radiation

Explanation: BCC is caused by UVB radiation. (290-320nm).